Bacteria that grow optimally between 25-40degC are called?
1. Mesophiles
2. Psychrophiles
3. Thermophiles
4. Cryophiles

Correct answer: 1. Mesophiles

Explanation: Mesophilic: * Bacteria which grow best at temperatures of 25-40degC are called mesophilic. * In this group some bacteria like pseudomonas aeruginosa have a wider range (5-43degC). * While others like the gonococcus have a restricted range (30-39degC) Psychrophilic bacteria: are bacteria that grow best at temperature below 20 C. * Some of them growing at temperature as low as - 7degC. * They are soil and water saprophytes. Thermophiles: grow best at high temperatures 55-80degC. * They may cause spoilage of under processed canned food. * Some thermophiles (like Bacillus stearothermophilus) form spores that are exceptionally thermoresistant.